Young's surgery is done for?
1. Allergic rhinitis
2. Atrophic rhinitis
3. Vasomotor rhinitis
4. Idiopathic rhinitis

Correct answer: 2. Atrophic rhinitis

Explanation: Surgical treatment of Atrophic rhinitis : It includes Young's operation: Both the nostrils are closed completely just within the nasal vestibule by raising flaps. They are opened after 6 months or later. Modified Young's operation: It aims at partially closing the nostrils to avoid the discomfort of bilateral nasal obstruction. Narrowing the nasal cavity : Submucosal injection of Teflon paste. Insertion of fat, cartilage, bone or Teflon stripes under the mucoperiosteum of the floor and lateral wall of the nose and the mucoperiosteum of the septum. Section and medial displacement of lateral walls of the nose. ( Ref: Diseases of ENT, PL Dhingra,7th edition, Pg nno.173)